Which of the following agents is useful for the oral treatment ofboth pituitary as well as renal diabetes insipidus?
1. Vasopressin
2. Hydrochlorthiazide
3. Chlorpropamide
4. Carbamazepine

Correct answer: 2. Hydrochlorthiazide

Explanation: (Ref: KDT 6/e p577, 578) Thiazides are useful in the treatment of central as well as nephrogenic DI. Vasopressin, chlorpropamide and carbamazepine are useful only in central DI.